Which among the following anaesthetic increases the cerebral oxygen consumption?
1. Alfentanil
2. Ketamine
3. Thiopentone
4. Propofol

Correct answer: 2. Ketamine

Explanation: Ketamine increases cerebral oxygen consumption and it also increases intracranial tension.